Neurofibromatosis I is most commonly associated with -
1. Brain stem gliomas
2. Optic pathway glioma
3. Sub ependymal pilocytic astrocytoma
4. Glioblastoma multiforme

Correct answer: 2. Optic pathway glioma